Best way to plot the change of incidence of disease overtime-
1. Line diagram
2. Bar chart
3. Histogram
4. Pie chart

Correct answer: 1. Line diagram

Explanation: - line diagrams are used to show the trend of events with the passage of time. - it can be used to represent the trend of disease cases over a period of time. Reference : Park's textbook of preventive and social medicine, 23rd edition, pg no:846